CART WHEEL APPEARANCE is a feature of which of the defensive cells of the pulp
1. Mast cell
2. Plasma cell
3. Lymphocytes
4. Basophills

Correct answer: 2. Plasma cell